Martel's sign is seen in which of the following condition
1. Rheumatoid arthritis
2. Osteoarthritis
3. Gouty arthritis
4. Oochronosis

Correct answer: 3. Gouty arthritis

Explanation: Martel's sign is seen in long standing cases of gouty arthritis * First acute attack: soft tissue swelling * Chronic tophaceous gout: Martel's sign --punched-out cystic erosions with overhanging bony edges, associated with soft tissue calcified masses. Refer Fundamentals of orthopedics by Nikil Mohindra p 354